A 40 years old female presented to OPD with complaints of retrosternal heartburn, dysphagia more for liquids and occasional aspiration. Barium swallow is given below. Which of the following statement is false about this condition?
1. It is due to lack of inhibitory neurons in Auerbach plexus
2. Characterized by classical triad of dysphagia, regurgitation and weight loss
3. Barium swallow is gold standard investigation
4. Heller's cardiomyotomy is the treatment of choice

Correct answer: 3. Barium swallow is gold standard investigation

Explanation: Ba. Swallow Narrowing of LES Absence of LES Relaxation ACHALASIA CARDIA Bird beak/Pencil tip/Rat tail appearance Retrosternal heart burn Dysphagia - liquids Occasional aspiration weight loss B. Swallow - Rat tail appearance ACHALASIA CARDIA Rat tail Appearance - Achalasia cardia Filling defect - Ca. Esophagus Achalasia Cardia : M/C hypomotility disorder of esophagus IOC- Manometry TOC- Heller's Myotomy